Which class of neurotransmitter would be most affected by a toxin that disrupted microtubules within neurons?
1. Amino acid transmitters
2. Catecholamine transmitters
3. Membrane-soluble transmitters
4. Peptide transmitters

Correct answer: 4. Peptide transmitters